Monckeberg's calcific sclerosis affects the medium-sized muscular arteries by involving
1. Intima
2. Media
3. Adventitia
4. All of the above

Correct answer: 2. Media

Explanation: Monckeberg medial sclerosis is characterized by calcification of the walls of muscular arteries, typically involving the internal elastic membrane. Persons older than age 50 are most commonly affected. The calcifications do not encroach on the vessel lumen and are usually not clinically significant.Ref: Robbins; 9th edition; Chapter 11; Blood Vessels; Page no: 490